A chronic alcoholic presents with repeated episodes of severe intractable abdominal pain. At evaluation the pancreatic duct was found to be dilated and stones were noted in the tail of pancreas. The most appropriate management is:
1. Pancreatic Tail Resection
2. Pancreatico Jejunostomy
3. Percutaneous removal of stone
4. Medical management

Correct answer: 2. Pancreatico Jejunostomy

Explanation: Pancreatico Jejunostomy is indicated in patients with severe unbearable pain and with the evidence of dilated pancreatic duct. Ref: CSDT, 12th Edition, Pages 618-19; Modern Surgical Care By Miller, 3rd Edition, Page 477; General Surgical Operations By Kirk, 4th Edition, Pages 421-22; High-yield Surgery By Raminder Nirula, 2nd Edition, Page 72; Essential Practice of Surgery, 2003, Pages 206-07